Maintenance of standards in dental education is the responsibility of
1. IDA
2. DCI
3. WHO
4. FDI

Correct answer: 2. DCI